Which of the following drugs is known to cause granuloma in the liver -
1. Allopurinol
2. Nifedipine
3. Tetracycline
4. Methyl testosterone

Correct answer: 1. Allopurinol

Explanation: Ans. is `a' i.e., Allopurinol Drugs causing granuloma in liver - o Phenylbutazone o Allopurinol o Diltiazem o Sulfonamides o Quinidine o Carbamazepine.